According to WHO classification of periradicutar diseases, code number category K04.4 is
1. Acute apical periodontitis
2. Chronic apical periodontitis
3. Periapical abscess with sinus
4. Periapical abscess with sinus to maxillary antrum

Correct answer: 1. Acute apical periodontitis